In Glanzmann thrombasthenia, the defect is
1. Decreased platelets
2. Defective adhesion
3. Defective aggregation
4. Defective secretion of granules

Correct answer: 3. Defective aggregation

Explanation: It is due to defective aggregation because of surface deficiency of GP II b- IIIa.